Theory of web of causation was given by ?
1. Mc Mohan and Pugh
2. Pettenkoffee
3. John snow
4. Louis Pasteru

Correct answer: 1. Mc Mohan and Pugh

Explanation: Contemporary Mainstream Epidemiology 151 1960 Emergence of the epidemiologic Web of causation although nothing about the idea of multiple causes inherently required adhering to a biomedical and lifestyle orientation to analyzing disesecausation and distribution this nontheless occured precisely becausen of the overrall dominance of biomedicine and methodological individualism congently capturing its influence is thepowerful metaphor and model of the web of causation introdusec in 1960 in the formal and highly influential epidemiologic textbook ever published in the united state epidemiologic methods by Brain McMohan and Thomas F. Pugh and Johannes ipsen